Recurrent corneal erosion seen in
1. Corneal dystrophy
2. Keratoglobus
3. Keratoconus
4. Peutz-anomalies

Correct answer: 1. Corneal dystrophy

Explanation: Ans. is 'a' i.e Corneal dystrophy "Corneal dystrophies are a group of progressive usually b/l and mostly genetically determined corneal opacifying disorder which develops in the absence of inflammation."Age of presentation is 1st or 2nd decadeMC type of all corneal dystrophies - Cogan's microcytic dystrophyCornea guttata is seen in endothelial layer *Treatment of corneal dystrophy is by keratoplasty*